What is the most common cause of osteoblastic bone metastasis in females?
1. Ca breast
2. Ca cervix
3. Ca thyroid
4. Osteosarcoma

Correct answer: 1. Ca breast

Explanation: The commonest cause of osteoblastic metastasis in women: Ca breastThe commonest in men is Ca prostateBone metastasis in Ca breast is of mixed type, i.e. both osteolytic & osteoblasticBut is predominantly osteolytic.Bone Metastasis :The most common site for secondaries is BoneSkeletal metastasis may be osteolytic or osteoblasticMost of the metastasis are mixed type; predominantly osteolytic.